Primary complex of TB is known as:
1. Ranke's complex
2. Ghon's complex
3. Assman focus
4. Simon's focus

Correct answer: 2. Ghon's complex

Explanation: Ans. B. Ghon's complexPrimary focus - Ghon's focus + lymph nodes - Ghon's primary complex + calcification - Ranke's complex. Reactivation secondary TB - Simon's focus + calcification - Assman's focus